Maximum absorption of bicarbonate occurs at
1. PCT
2. DCT
3. CT
4. ALH

Correct answer: 1. PCT

Explanation: About 67% of filtered, sodium, water, potassium, urea, 80% of filtered phosphate and bicarbonate, 100% of filtered glucose and amino acids are reabsorbed in PCT Ref: Ganong 25th ed/page 679